Whiff test is used to detect :
1. Trichomoniasis
2. Candidial cervicitis
3. Bacterial vaginosis
4. Gonococcal cervictis

Correct answer: 3. Bacterial vaginosis

Explanation: Bacterial vaginosis